Streptococcal cross reactivity affects which organ?
1. Heart
2. Skin
3. Joint
4. All of the above

Correct answer: 4. All of the above

Explanation: Ans. is 'd' i.e. All of the above * Non-supporative complications are due to antigenic cross-reactivity of streptococcal antigenic component with human tissues. This antigen cross reactivity is resoponsible for the production of cross reacting antibodies, i.e. antibodies are formed against streptococcal antigens but they damage host tissue antigens because of similarity between streptococcal antigens and human tissue antigens - antigenic cross reactivity.Streptococcal componentHuman tissueCapsular hyaluronic acidSynovial fluidCell wall proteinMyocardiumGroup A carbohydrateCardiac valvesCytoplasmic membrane antigenVascular intimaPeptidoglycansSkin antigens